In child death rate, which of the following is included -
1. Children< 5 years
2. Children <10 years
3. Childrens 1-4 years age
4. Children 10-15 years

Correct answer: 3. Childrens 1-4 years age

Explanation: Child death rate is the number of deaths of children aged 1-4 years per 1000 children in the same age group in a given year. Reference: Park's textbook of preventive and social medicine 23rd Edition